Drug of choice for acute congestive glaucoma is -
1. 1-2 % pilocarpine
2. Timolol
3. Levobunanol
4. Atropine

Correct answer: 1. 1-2 % pilocarpine

Explanation: Pilocarpine eyedrops should be started after the IOP is bit lowered by hyperosomtic agents. At higher pressureiris sphincter is ischaemic and unresponsive to pilocarpine. Initially 2 percent pilocarpine should be administered every 30 minutes for 1-2 hours and then 6 hourly. Ref AK KHURANA 4TH EDITION PAGE NO 229